All of the following are features of Gradenigo's syndrome?
1. It causes diplopia
2. It is characterized by retro-orbital pain
3. It is associated with involvement of the Cranial nerves V and VI
4. All of the above

Correct answer: 4. All of the above

Explanation: Clinical features of gardenigo syndrome consist of a triad of deep retro orbital pain, paralysis of ipsilateral laeral rectus muscle from the involvement of abducens nerve(diplopia) as it cross the petrous bone and otitic infection with purulent discharge. This syndrome is also associated with features such vertigo and hearing loss either from a concomitant bacterial labrynthitis or from involvement of eight cranial nerve in its bony canal. Ref: Companion to Clinical Neurology By William Pryse-Phillips, 2nd Edition, Page 404